Delirium is a disorder of:
1. Thought
2. Perception
3. Insight
4. Cognition

Correct answer: 4. Cognition

Explanation: Ans. Cognition